Which is the most common incidentaloma detected in the liver
1. Focal nodular hyperplasia
2. Hemangioma
3. Hepatocellular adenoma
4. Hydatid cyst

Correct answer: 2. Hemangioma

Explanation: Benign liver tumours Haemangiomas These are the most common liver lesions, and the reported incidence has increased with the widespread availability ofdiagnostic ultrasound. They consist of an abnormal plexus of vessels, and their nature is usually apparent on ultrasound. If diagnostic uncertainty exists, CT scanning with delayed contrast enhancement shows the characteristic appearance of slow contrast enhancement due to small vessel uptake in the haemangioma. Often, haemangiomas are multiple. Lesions found incidentally require radiological confirmation of their nature and no further treatment. The management of 'giant' haemangiomas is more controversial. Occasional reports of rupture of haemangiomas have led some to consider resection for large lesions, especially if they appear to be symptomatic. Diagnosis is usually incidental, and surgical resection only recommended if patients are significantly symptomatic or significant diagnostic uncertainty remains after multimodal imaging. Ref: Bailey and love 27th edition Pgno : 1172